In carcinoma of lower lip secondaries are seen in
1. Upper cervical LN
2. Axillary LN
3. Supraclavicular LN
4. Mediastinal LN

Correct answer: 1. Upper cervical LN

Explanation: Carcinoma Lip: Mostly, it is squamous cell carcinoma, often seen in males in the age group of 40-70 years. Lower lip is more often involved. Site of predilection is between the midline and commissure of the lip. Lesion is of exophytic or ulcerative type. Lymph node metastases develop late. Submental and submandibular nodes are the first to be involved; other deep cervical nodes may also get involved later. Treatment: It is surgical excision with adequate safety margin of healthy tissue and plastic repair of the defect. Lymph node metastases require block dissection. Radiotherapy also gives good results in early cases. Ref:- Dhingra; pg num:-226